The most common neurological disorder seen in chronic renal failure patients is:
1. Dementia
2. Polyneuropathy
3. Restless leg syndrome
4. Encephalopathy

Correct answer: 2. Polyneuropathy

Explanation: Ans. B. PolyneuropathyPolyneuropathy is the most common neurological disorder seen in about 60% of patients with CKD.It is characterized by* Length-dependent numbness* Tingling* Allodynia* Mild distal weaknessThe sensorimotor polyneuropathy can be stabilized by hemodialysis and improved with successful renal transplantation.